Most common fractured bone during birth is:
1. Humerus
2. Scapula
3. Clavicle
4. Radius

Correct answer: 3. Clavicle

Explanation: Ans. (c) ClavicleRef "Clavicle fracture in labor: risk factors and associated morbidities'. JPerinatol (Dec '01)* Clavicle fractures are the most frequently encountered birth injury (0.5%).* Brachial plexus is also injured during child birth due to its stretch. The brachial plexus is stretched when the head is pulled in one direction and the arm in the opposite.* Femur fractures also occur in as the leg is awkwardly twisted during delivery. These are rare injuries that are much less common than clavicle fractures.